The most common cause of sporadic viral encephalitis is :
1. Japanese B encephalitis
2. Herpes simplex encephalitis
3. HIV encephalitis
4. Rubeola encephalitis

Correct answer: 2. Herpes simplex encephalitis

Explanation: “The most common virus causing sporadic cases of encephalitis in immunocompetant adult are HSV-1, VZV, EBV and less commonly enterovirus.”
Remember: Epidemic of encephalitis are caused by Arbovirus which include:

Alphaviruses
Toga viruses
Bunyaviruses